Gold salts can be used in:
1. Ankylosing spondylitis
2. Rheumatoid arthritis
3. Osteoarthritis
4. Beheet's syndrome

Correct answer: 2. Rheumatoid arthritis

Explanation: Answer is B (Rheumatoid arthritis) : Chrysotherapy (Gold salts) : are used as a disease-modifting anti-rheumatic drugs for patients who fail to improve on or who cannot tolerate methotrexate. Intramuscular gold is used most often as it is more effective than oral goldQ.